The most reliable urine specimen is obtained by?
1. Urethral catheterization
2. Catheter aspiration
3. Midstream voiding
4. Suprapubic aspiration

Correct answer: 4. Suprapubic aspiration

Explanation: Ans. is 'd' i.e., Suprapubic aspiration